Acid-fast oocysts are seen in-
1. Cryptosporidium
2. Isospora
3. Cyctospora
4. All of the above

Correct answer: 4. All of the above

Explanation: Acid fast parasites

1. Cryptosporidium parvum
2 Cyclospora sp
3. Isospora belli
4. Taenia saginata → → → → Oocyst Egg